Which of the follwoing is the drug of choice for Obsessive Compulsive Disorder?
1. Clomipramine
2. Fluoxetine
3. Carbamezapine
4. Chlorpromazine

Correct answer: 2. Fluoxetine

Explanation: SRIs are considered to be the drug of choice in OCD. SSRIs used in OCD are fluoxetine, fluvoxamine, paroxetine, sertraline and citalopram. SSRIs are considered to be superior than TCAs because side effects of SSRIs are transient and less troubling. Clomipramine a TCA is the second drug of choice. Many clinicians caonsider behavior therapy as the drug of choice for OCD. he principal behavioural approach in OCD are exposure and response prevention. Ref: Kaplan and Sadock's Concise Textbook of Clinical Psychiatry By Benjamin J. Sadock, 3rd Edition, Page 257